Enteroviruses causes -
1. Acute hemorrhagic conjunctivitis
2. Acute follicular conjunctivitis
3. Posterior follicular conjunctivitis
4. Epidemic Keratoconjunctivitis

Correct answer: 1. Acute hemorrhagic conjunctivitis

Explanation: A pandemic of acute hemorrhagic conjunctivitis caused by EV 70. REF:ANATHANARAYAN AND PANIKER'S TEXTBOOK OF MICROBIOLOGY 9TH EDITION PAGE NO:493